Podophyllin is used to treat which type of wart:
1. Plantar wart
2. Genital wart
3. Verruca plan
4. All of the above

Correct answer: 2. Genital wart

Explanation: Genital wart